The granuLomatous tissue that is responsible for destruction of articular surfaces of TMJ in rheumatoid arthritis is known as
1. Pannus
2. Pulse granuloma
3. Baker's cyst
4. Immune granuloma

Correct answer: 1. Pannus